All are principles of primary health care EXCEPT -
1. Intersectoral coordination
2. Community participation
3. Appropriate technology
4. Decentralised approach

Correct answer: 4. Decentralised approach

Explanation: principles of primary health care Equitable distribution Community participation Intersectoral coordination Appropriate technology (refer pgno:892 park 23rd edition)